Objective symptoms are determined by:
1. Visual and tactile inspection.
2. Percussion.
3. Palpation.
4. All of the above.

Correct answer: 4. All of the above.

Explanation: Objective symptoms are determined by tests and observations performed by the clinician. These tests are as follows:

Visual and tactile inspection
Percussion
Palpation
Mobility and depressibility
Bite test
Radiograph
Electric pulp test
Thermal tests (hot and cold)
Anesthetic test
Test cavity